Which is true about SIADH?
1. Euvolemic hyponatremia
2. Euvolemic hypernatremia
3. Hypervolemic hypernatremia
4. Hypervolemic hyponatremia

Correct answer: 1. Euvolemic hyponatremia

Explanation: SIADH- condition which activates V2 Receptor in the collecting duct of the kidneys and INCREASE ADH will lead to gain of water in the body. - TBW || , Total salt is normal (Relative hyponatremia i.e. euvolemic hyponatremia ) Euvolemic Hyponatremia 1. SIADH 2. Glucocorticoid deficiency 3. Hypothyroidism Hypervolemic Hyponatremia 1. Cirrhosis 2. CHF 3. AKI Hypovolemic Hyponatremia 1. Diarrhea 2. Cantal salt wasting syndrome